Which of the following vessels is most commonly involved in hemorrhage from duodenal ulcer?
1. IVC
2. Gastroduodenal artery
3. SMA
4. Inferior pancreatico duodenal artery

Correct answer: 2. Gastroduodenal artery

Explanation: Ans. (b) Gastroduodenal arteryRef: Sabiston 19th Edition, Page 1195-1196* Most common indication for surgery is bleeding* Most common cause of death is bleeding in peptic ulcer patients* Most common complication of peptic ulcer: Bleeding* Most common complication of gastric ulcer: Perforation* The complication with highest mortality rate: Perforation